Transmigration of leukocytes occurs mainly through which of the following?
1. Arteriole
2. Venule
3. Capillary
4. All of the above

Correct answer: 2. Venule

Explanation: Transmigration of leukocytes occurs mainly in post-capillary venules. Chemokines act on the adherent leukocytes and stimulate the cells to migrate through interendothelial spaces toward the chemical concentration gradient, that is, toward the site of injury or infection where the chemokines are being produced. Ref: Robbins 8th edition Chapter 2.